Monoarticular joint involvement is seen in which of the following:
1. Primary osteoarthritis
2. Rheumatoid arthritis
3. Tubercular arthritis
4. Sero-neagtive spond-arthritis

Correct answer: 3. Tubercular arthritis

Explanation: Ans. C: Tubercular Arthritis Causes of polyarthritis: Crystal-induced synovitis: gout, pseudogout (calcium pyrophosphate deposition disease), hydroxyapatite Systemic rheumatic disease: rheumatoid arthritis, systemic lupus erythematosus, polymyositis/dermatomyositis, juvenile rheumatoid arthritis, scleroderma, SjOgren's syndrome, Behcet's syndrome Spondyloarthropathies: ankylosing spondylitis, psoriatic arthritis, inflammatory bowel disease, reactive arthritis (Reiter's) Primary osteoarthritis